Urinary alkalinizing agents administered in case of poisoning due to drugs which are
1. Weak bases
2. Weak acids
3. Strong bases
4. Strong acids

Correct answer: 2. Weak acids

Explanation: Ref-Katzung 10/e p7,8 Strong electrolytes (strong acid and strong base) are ionized in all media, whether it is acid or base. Weak acid ionized in the alkaline medium and easily excreted